The muscles attached to perineal body are A/E
1. Ischiocavernosum
2. Bulbospongiosm
3. Superficial transverse perinea
4. Deep transverse perinea

Correct answer: 1. Ischiocavernosum

Explanation: Ten muscles of the perineum converge and interlace in the perineal body - a) Two unpaired : (i) External anal sphincter, (ii) Fibres of longitudinal muscle coat of anal canal. b) Four paired:- (i) Bulbospongiosus, (ii) Superficial transverse perenei, (iii) Deep transversus perenei, (iv) levator ani, In females, sphincter urethrovaginalis is also attached here. Ref: Gray's anatomy text book of anatomy BD chaurasia 21st Ed.